Diabetic gangrene is due to:
1. Ischemia
2. Increased blood glucose
3. Altered defense by host and neuropathy
4. All of the above

Correct answer: 4. All of the above

Explanation: Diabetic gangrene is related to: - Trophic changes from peripheral neuropathy - Ischemia as a result of microangiopathy and macroangiopathy (atherosclerosis) - Low resistance to infection because of excess sugar in the tissues